Aseptate hyphae are seen in
1. Phycomycetes
2. Ascomycetes
3. Basidiomycetes
4. Deuteromycetes

Correct answer: 1. Phycomycetes

Explanation: They are lower fungi that have non-septate hyphae Reference: Textbook of Microbiology; Anathanarayan and paniker's; 9th edition